Germ theory of disease causation is given by:-
1. Aristotle
2. Louis Pasteur
3. Robert Koch
4. Patenkofer

Correct answer: 2. Louis Pasteur

Explanation: THEORIES OF DISEASE CAUSATION: Theory of Spontaneous generation - given by Aristotle. Germ theory of disease - Louis Pasteur. Multifactorial causation of disease - Pattenkoffer. Web of causation - Mc Mohan & pugh.